Fraying and cupping of metaphyses of long bones in a child does not occur in –
1. Rickets
2. Lead poisoning
3. Metaphyseal dysplasia
4. Hypophosphatasia

Correct answer: 2. Lead poisoning

Explanation: Rickets, metaphyseal dysplasia, scurvy and hypophosphatasia can cause cupping and fraying of metaphysics.